Which is not a major criteria of Jones in Rheumatic fever?
1. Pancarditis
2. Arthritis
3. Chorea
4. Elevated ESR

Correct answer: 4. Elevated ESR

Explanation: Ans. is 'd' i.e., Elevated ESR o Elevated ESR is a minor criterian. o Carditis (Pancarditis), Arthritis, and chorea are major criteria.